All are precancerous lesions of oral cavity except -
1. Leukoplakia
2. Erythroplakia
3. Diffuse oral submucous fibrosis
4. Diffuse aphthous ulcers

Correct answer: 4. Diffuse aphthous ulcers

Explanation: Lesions with an increased risk of malignancy

Premalignant condition : - Leukoplakia, Erythroplakia, Speckled erythroplakia, chronic hyperplastic, candidiasis.
Conditions increasing risk : - Oral submucous fibrosis, syphilitic glossitis, sideropenic dysphagia (Paterson Kelly syndrome).
The risk is doubtful: - Oral lichen planus, DLE, Dyskeratosis congenita.